Intracavitary electrocardiography is a diagnostic aid in –
1. Tricuspid regurgitation
2. Endocardial fibroelastosis
3. Endomyocardial fibrosis
4. Ebstein's anomaly of the tricuspid valve

Correct answer: 4. Ebstein's anomaly of the tricuspid valve

Explanation: Four chambered view in two dimension echocardiogram is diagnostic as it outlines the displaced tricuspid valve.